A patient comes to the emergency with Ludwig's angina. Which of the following is done first?
1. Incision and drainage
2. Antibiotic and I.V. fluid infusion
3. Fiberoptic nasotracheal intubation/tracheostomy under local anesthesia
4. Tracheostomy under General Anesthesia

Correct answer: 3. Fiberoptic nasotracheal intubation/tracheostomy under local anesthesia